Amniocentesis is done for all of the mentioned indications EXCEPT
1. Fetal Lung maturity
2. Oligohydramnios
3. Congenital infections
4. Genetic defects

Correct answer: 2. Oligohydramnios

Explanation: Indications of Amniocenetesis- Fetal genetic disorders Congenital infections Allo immunizations Fetal lung maturity Amnioinfusion is done for oligohydramnios. Amniocenetesis may be done for polyhydramnios as a therapeutic measure.